In UNICEF's GOBI campaign, 'O' stands for:
1. Oral contraceptives
2. Oral rehydration therapy
3. Obesity
4. Occupational hazards

Correct answer: 2. Oral rehydration therapy

Explanation: UNICEF - United Nations International Children Emergency Fund] UNICEF is promoting GOBI campaign to encourage 4 strategies for a child health revolution: G: growth charts (to better monitor child development) O: oral rehydration (to treat mild and moderate dehydration) B: breast feeding I: immunization (against TB, polio, diphtheria, Pertussis, tetanus and measles) GOBI campaign is now GOBI-FFF: Family Planning Female education Food supplementation